Pneumocystis carinii is diagnosed by:
1. Sputum examination for trophozoites and cyst under microscope
2. Culture
3. Positive serology
4. Growth on artificial media

Correct answer: 1. Sputum examination for trophozoites and cyst under microscope